All are seen in Marasmus except ?
1. Hepatomegaly
2. Muscle wasting
3. Voracious appetite
4. Weight loss

Correct answer: 1. Hepatomegaly

Explanation: Ans. is 'a' i.e., Hepatomegaly Hepatomegaly is seen in kwashiorkor (not in marasmus). Marasmus o It is characterized by gross wasting of muscle and subcutaneous tissues resulting in emaciation and marked stunting. o There is no edema. o Body weight is less then 60% of expected. o Fat in adipose tissues is severely depleted. However the buccal pad of fat is preserved till the malnutrition becomes extreme because a higher proportion of saturated fatty acids is stored there and the saturated fat is the last to be depleted. o Skin is dry, scaly and inelastic with wrinkles. o The hair is hypopigmented. o Abdomen is distended due to wasting and hypotonia of abdominal wall muscles. o The child is alert but irritable. o Child may show voracious appetite.